Which among the following may play a role in the genesis of Hodgkin's disease ?
1. HCV
2. HPV
3. EBV
4. HIV

Correct answer: 3. EBV

Explanation: Epstein-Barr virus is a cause of certain lymphomas and may play a role in the genesis of Hodgkin's disease. Ref: Harrison's Principles of Internal Medicine, 18e, Chapter 119.Introduction to Infectious Diseases.